Which of the following inducing agent is preferred for Electroconvulsive Therapy
1. Thiopentol
2. Etomidate
3. Methohexitol
4. Ketamine

Correct answer: 3. Methohexitol

Explanation: Methohexitol is a barbiturate used as inducing agent. It has high propensity to cause seizures & hence preferred for Electroconvulsive therapy.